A 30 years old male comes to ortho emergency with his 3 years old daughter who is crying. The father gives the history of child being swung by forearm. The most probable diagnosis is:
1. Supracondylar humerus fracture
2. Elbow dislocation
3. Stress fracture
4. Pulled elbow

Correct answer: 4. Pulled elbow

Explanation: D i.e. Pulled elbow